All of the following statements about Xanthogranulomatous are true except
1. Foam cells are seen
2. Yellow nodules are seen
3. Multinucleated giant cells are seen
4. Associated with tuberculosis

Correct answer: 4. Associated with tuberculosis

Explanation: Xanthogranulomatous Cholecystitis XCG: Inflammatory disease characterized by a focal or diffuse destructive process with lipid laden macrophages Pathology Inflammatory response to extravasated bike, possibly from ruptured Rokitansky - Aschoff sinuses Presence of hypoechoic nodules or bands in thickened GB wall together with calculi (cholesterol or mixed gallstones) in patients of chronic disease There is extension of yellow tissue into adjacent organs, Fistulas from GB to skin or duodenum may develop, may be mistaken for cancer Clinical features Similar to acute cholecystitis Diagnosis Thickening of GB wall is most common radiological finding, sometimes presence of hypoattenuated bands Treatment Surgical treatment (Laparoscopic cholecystectomy) remains the most effective and feasible option for XCG REF: Sabiston 20th edition Pgno : 1495